The classification proposed by the International Lymphoma Study Group for non - Hodgkin's lymphoma is known as -
1. Kiel classification
2. REAL classification
3. WHO classification
4. Rappaport classification

Correct answer: 2. REAL classification